Most common risk factor for breech presentation is:
1. Prematurity
2. Post-maturity
3. DM
4. Osteomalacia

Correct answer: 1. Prematurity

Explanation: Risk factors for Breech presentation - Prematurity (Most common Risk factor) Increased amniotic fluid volume Multifetal gestation Hydrocephaly Anencephaly Uterine anomalies Placenta previa Fundal placental implantation Pelvic tumors High parity with uterine relaxation Prior breech delivery